D-tubocurarine acts by
1. Inhibiting nicotinic receptors at myoneural junction
2. Inhibiting nicotinic receptors at autonomic ganglion
3. Producing depolarizing block
4. By inhibiting reuptake of acetylcholine

Correct answer: 1. Inhibiting nicotinic receptors at myoneural junction

Explanation: All non-depolarising blockers (D-Tubocurare) acts as a competitive antagonist of acetylcholine on nicotine (Nm) receptors at myoneural junction .